Pneumoretinopexy is an outpatient procedure in which retinal detachment is sealed with air insufflation. Which of the following gas is used in pneumorctinopexy?
1. Sulfur hexafluoride
2. Carbon dioxide
3. Nitrous oxide
4. Oxygen

Correct answer: 1. Sulfur hexafluoride

Explanation: Ans. a. Sulfur hexafluoride (Ref: Kanski 3rd/305, style="font-size: 1.04761904761905em; font-family: Times New Roman, Times, serif"> -PDF/ Pneumatic- Retinopexy.pdf)Sulfur hexafluoride gas is used in pneumoretinopexy."Choices of the agent for intraocular tamponade include air, sulfur hexafluoride, perfluoro- ethane , and perfluoropropane.Perfluoroethane has the characteristics that match these criteria the best, but it has not been approved by the FDA for clinical use. In contrast, both sulfur hexafluoride and perfluoropropane have been approved by the FDA for clinical use. By default, sulfur hexafluoride has become the gas of choice used most frequently by most surgeons for pneumatic retinopexy. "- http //www. insightinstruments.com/PDF/Papers-PDF/Pneumatic-Retinopexy.pdfPneumatic RetinopexyChoices of the agent for intraocular tamponade include air, sulfur hexafluorideQ, perfluoro- ethane, and perfluoropropane.Periluoroethane has the characteristics that match these criteria the best, but it has not been approved by the FDA for clinical use,In contrast, both sulfur hexafluoride and perfluoropropane have been approved by the FDA for clinical use.The long duration of perfluoropropane is advantageous for selected cases that require prolonged gas tamponade. Because of its greater expansion, only a small volume of perfluoropropane is required.However, many surgeons consider the long duration of perfluoropropane to be excessive, causing unnecessary delay in the resumption of normal activities and traveling for the patient.By default, sulfur hexafluoride has become the gas of choice used most frequently by most surgeons for pneumatic retinopexyQ.